Bone tumor arising from epiphysis is?
1. Osteoid osteoma
2. Chondrosarcoma
3. Ewings sarcoma
4. Chondroblastoma

Correct answer: 4. Chondroblastoma

Explanation: ANSWER: (D) ChondroblastomaREF: Apley's orthopedics 8th e p. 184-190SiteTumorEpiphyses* Osteochondroma* Osteoclastoma( giant cell tumor)* ChondroblastomaMetaphyses* Chondrosarcoma* Enchondroma* Osteochondroma* Osteoblastoma* Bone cyst* Osteosarcoma* Osteoclastoma in childrenDiaphysis* Round cell lesions* Ewing's sarcoma* Multiple myeloma* Reticulum cell sarcoma* Admantinoma* Osteoid osteoma* Cortical fibrous dysplasiaDiaphyseo-metaphyseal* Fibrous dysplasia* Chondromyxoid fibroma* Fibrosarcoma* Fibroxanthoma* Fibrous cortical defect* Non ossifying fibroma